Lactation is suppressed by
1. Metaclopramide
2. Opioids
3. Apomorphine
4. Haloperidol

Correct answer: 3. Apomorphine

Explanation: Ans. is'c'i.e., ApomorphineRef : Clinical Pharmacology 3'd/e p. 799Important drugs inhibiting lactation are : -DopamineBromocriptineCabergolineApomorphine